Which of the following bacterial disease is associated with the 3 "Rs" i.e., rats, ricefields, and rainfall?
1. Plague
2. Melioidosis
3. Leptospirosis
4. Rodent-bite fever

Correct answer: 3. Leptospirosis

Explanation: Leptospirosis is the bacterial disease that has been associated with the 3 "Rs" i.e., rats, ricefields, and rainfall. Leptospira infects various animals including rats and other rodents, domestic livestock, and household pets. Animals excrete leptospiras in urine, which contaminates water and soil. Swimming in contaminated water or consuming contaminated food or drink results in human infection. Leptospira are tightly coiled, thin, motile, flexible spirochetes with very fine spirals, one end is often bent forming a hook. Human infection usually results from the entry of organism through breaks in the skin and mucus membranes. Ref: Jawetz, Melnick and Adelberg's Medical Microbiology, 25th Edition, Chapter 24; Review of Medical Microbiology and Immunology By Warren Levinson, 11th Edition, Chapter 24